Ivabradine is indicated for:
1. Angina
2. PSVT
3. Cardiomyopathy
4. Irritable bowel syndrome

Correct answer: 1. Angina

Explanation: Ans. A. AnginaIvabradine is bradycardic agent, it selectively blocks the sodium channel and reduce the heart rate by inhibiting the hyperpolarized activated sodium channel, it reduces angina attacks similar to beta blocker and CCB.